All are true regarding Rabies virus, except?
1. Single Stranded RNA virus
2. Linear
3. Negative sense
4. Space vehicle shaped

Correct answer: 4. Space vehicle shaped

Explanation: It is a bullet shaped virus with a single serotype. It is detected by immunofluoresence. The rabies virus is a neurotropic virus. These viruses areenveloped and have a single stranded RNA genome with negative-sense. All transcription and replication events take place in the cytoplasm inside a specialized "virus factory", the Negri body.